Hardoleum internum is ?
1. Acute infection of Zeis gland
2. Acute infection of Moll gland
3. Acute infection Meibomian gland
4. Chronic infection of Zeis gland

Correct answer: 3. Acute infection Meibomian gland

Explanation: . Ans. is 'c' i.e., Acute infection Meibomian gland Acute infection of Zeis (Moll) gland - Stye (Hardoleum externum). Acute infection of tarsal gland (Meibomian gland) - Hardoleum internum o Chronic infection of tarsal gland (Meihonium gland) - Chalazion Differences between stye (Hordeolum externum), chalazion and Hordeolum internum Stye (Hordeolum externum) Chalazion Hordeolum internum Onset Acute Chronic Acute Gland Zeis's gland Meibomian gland Meibomian gland Types of inflammation Suppurative Lipogranulomatous Suppurative Symptoms Acute pain and swelling Painless disfigurement Severe pain Signs Localized, hard and tender Hard nontender swelling Yellow point seen on swelling near the lid margin away from lid margin everting the lid Treatment Hot fomentation, Antibiotics Drainage by incision Incision and drainage and removal of eye lash and curettage Intralesional steroid Diathermy, antibiotic Antibiotics and analgesic